A patient has calcification on AP view of right side of abdomen. In lateral view, calcification is seen to overlie the spine. The most likely diagnosis is:
1. Gall stone
2. Calcified mesenteric nodes
3. Renal stones
4. Calcification in vertebral sphenoid process

Correct answer: 3. Renal stones

Explanation: Ans. Renal stones